Hind milk is richer in:
1. Carbohydrate
2. Protein
3. Fat
4. Minerals

Correct answer: 3. Fat

Explanation: c. Fat(Ref: Nelson's 20/e p 286-290, Ghai 8/e p 150-161)CharacteristicsFore milkHind milkWhat is it?Milk released at beginning of feedMilk released towards the end of feedRicher inWater, vitamins, minerals, proteinsFatSatisfiesThirst of babyHunger of baby